Posterior interosseous nerve is injured in
1. Posterior dislocation of elbow
2. Monteggia fracture dislocation
3. Reversed monteggia fracture dislocation
4. Supracondylar fracture of humerus

Correct answer: 2. Monteggia fracture dislocation

Explanation: B i.e. Montegia fracture dislocation Monteggia Fracture Dislocation Fractures between the proximal third of the ulna and the base of olecranonQ combined with an anterior dislocation of the proximal radio ulnar jointQ. - Definition by Monteggia 1814 Bado extended Monteggia's original description to include- any fracture of ulna with associated dislocation of the proximal radio - ulnar (rdio - capitellar) jointQ including trans olecranon fractures in which the proximal radio - ulnar joint remains intact. (New definition) Mn: "3 M" : Monteggia - Medial bone (ulna) fracture - Mountain (upper) radio - ulnar joint dislocation. Bado's Classification Type Direction of radial head dislocation Direction of apex of ulnar shaft fracture angulation I (most common)Q AnteriorQ AnteriorQ II Posterior Posterior III Lateral Lateral IV Anterior - Fracture of both radius & ulna - Radius is fractured in proximal third below the biceptal groove Treatment - The clue to successful treatment is to restore the length of the fractured ulna; only then can the dislocated joint be fully reduced & remain stable In adults it means an operationQ - Rigid anatomical fixation by plating (DCP/LCDCP) is the method of choiceQ. * Posterior interosseous nerve has been most commonly injured nerve in forearm fractures, particularly in association with Monteggia fracture dislocationQ.